Once the enamel formation is complete, the tooth will erupt after approximately:
1. One year
2. Two years
3. Three years
4. Four years

Correct answer: 3. Three years